Bowel disease with "Transmural involvement and Skip lesions" is a feature of:
1. Tropical sprue
2. Whipples disease
3. Crohns disease
4. UC

Correct answer: 3. Crohns disease

Explanation: Crohns disease